JE virus life cycle in nature run between?
1. Pigs-Mosquito
2. Cattle-Birds
3. Pigs-Human
4. Birds-Pigs

Correct answer: 1. Pigs-Mosquito

Explanation: -Japanese encephalitis virus infect several extra human host, animals and birds. - The basic cycles of transmission are from pig to mosquito. Reference : Park's textbook of preventive and social medicine, 23rd edition, pg no:285